Schizophrenia can be treated with all of the following except-
1. Pemoline
2. Olanzapine
3. Sulpiride
4. Chlorpromazine

Correct answer: 1. Pemoline

Explanation: Ans. is 'a' i.e., Pemoline Antipsychotics (Neuroleptics) o Antipsychotics are a group of psychoactive drugs commonly used to treat psychosis, e.g. Schizophrenia. o Antipsychotic drugs are divided into: A) Typical antipsychotics (first generation antipsychotics) Phenothkanes - Chlorpromazine, Thioridazine, Trifluperazine, Fluphenazine. Thioxanthenes - Thiothixene, Flupenthixol. Butyrophenones - Haloperidol, Trifluperidol, Penfluridol. Other heterocyclics - Pimozide, Loxapine, Sulpiride B) Atypical antipsychotics (second generation antipsychotics) Clozopine 3. Olanzopine 5. Aripiprazole Risperidon 4. Quetiapine 6. Ziprasidone